The nucleus involved in Papez circuit is
1. Pulvinar
2. Intralaminar
3. VPL nucleus
4. Anterior nucleus of Thalamus

Correct answer: 4. Anterior nucleus of Thalamus

Explanation: The Papez circuit refers to a closed circuit formed by connections between the cingulate gyrus, hippocampus, mammillary bodies and anterior nucleus of thalamus. This circuit is responsible for resting EEG and for those emotions and aspects of behavior that are related to preservation of the individual and speciesref: guyton and hall textbook of medical physiology 12 edition page number: 826,827,828